A 38-year-old male is admitted to the emergency department after a car collision. During physical examination several lacerations in the back are discovered. Pain from lacerations or irritations of the skin of the back is conveyed to the central nervous system by which of the following?
1. Dorsal primary rami
2. Communicating rami
3. Ventral primary rami
4. Ventral roots

Correct answer: 1. Dorsal primary rami

Explanation: General somatic afferent fibers are conveyed from the skin of the back via the dorsal primary rami. Communicating rami contain general visceral efferent (sympathetic) fibers and general visceral afferent fibers of the autonomic nervous system. Ventral primary rami convey mixed spinal nerves to/from all other parts of the body excluding the back, and parts of the head innervated by cranial nerves. The ventral roots contain only efferent (motor) fibers. Intercostal nerves are the ventral rami of T1 to T11. The ventral ramus of T12 is the subcostal nerve.